Best mode to control leprosy eradication–programme is
1. Mass chemotherapy
2. Early diagnosis and treatment
3. High risk chemotherapy
4. Health education

Correct answer: 2. Early diagnosis and treatment

Explanation: Early diagnosis & Treatment is the most important part of NLEP.

Note :

Other disease for which early diagnosis & treatment is the most important step in control → TB, STD.